Hallpike test is done for
1. Vestibular function
2. Corneal test
3. Cochlear function
4. Audiometry

Correct answer: 1. Vestibular function

Explanation: (A) Vestibular function # FITZGERALD-HALLPIKE TEST (Bithermal Caloric Test):> In this test, patient lies supine with head tilted 30deg forward so that horizontal canal is vertical.> Ears are irrigated for 40 seconds alternately with water at 30degC & at 44deg C & eyes observed for appearance of nystagmus till its end point.> In Fitzgerald-Hallpike test patient lies supine with need tilted 30 degree forward so that horizontal canal is vertical.> Cold water induces nystagmus to opposite side & warm water to the same side (COWS).> By this test we can find canal paresis or dead labyrinth, directional preponderance.